Treatment of spreading streptococcal cellulitis is?
1. Erythromycin
2. Penicillin
3. Tetracycline
4. Chloramphenicol

Correct answer: 2. Penicillin

Explanation: Ans. is 'b' i.e., Pencillin